Treatment of dysfunctional uterine bleeding is all except :
1. Oral contraceptive pills
2. Oestrogen
3. Progesterone
4. Ovariotomy

Correct answer: 4. Ovariotomy

Explanation: Ovariotomy